Site for placing an electrode in auditory brain stem implant is?
1. Sinus tympani
2. Round window
3. Lateral ventricle
4. Recess of fourth ventricle

Correct answer: 4. Recess of fourth ventricle

Explanation: Auditory Brain Implant (ABI) Implant is designed to stimulate the cochlear nuclear complex in the brainstem directly by placing the implant Site : In the lateral recess of the fourth ventricle.